Right anterior quadrant of the scalp is supplied by the following arteries EXCEPT
1. Right supra orbital artery
2. Right supra trochlear artery
3. Right superficial temporal artery
4. Right maxillary artery

Correct answer: 4. Right maxillary artery